Most characteristic GN in HIV is:
1. FSGN
2. MPGN
3. MCD
4. RPGN

Correct answer: 1. FSGN

Explanation: Answer is A (FSGN): The most charachteristic Glomerulopathy in HIV is focal segmental Glomerulosclerosis (FSGS) which typically reveals collapse of the glomerular capillary tuft called collapsing glomerulopathy. HIV associated Nephropathy is severe rapidly progressive collapsing form of FSGS